Ectopia lentis in a child is seen in which of the following diseases?
1. Sarcoidosis
2. Homocystinuria
3. Alkaptonuria
4. Urea cycle defects

Correct answer: 2. Homocystinuria

Explanation: b. Homocystinuria(Ref: Nelson 20/e p 326)Ectopia lentis is one of the features of Homocystinuria, where the direction of lens subluxation is infero-medial, unlike supero-lateral subluxation in Marfan syndrome.